22 year old female comes to your OP complaining of frequent periods which comes every 18 days. What is this condition called?
1. Polymenorrhea
2. Menorrhagic
3. Metrorrhagia
4. Hyper menorrhea

Correct answer: 1. Polymenorrhea

Explanation: Polymenorrhea or frequent periods, describes regular periods that occur less than 21 days apart. Ovulatory polymenorrhea is a result of shortened proliferative phase seen in adolescence and attributed to hypersensitive ovaries. In older women the shortened cycles may be due to progressive ovarian failure leading to luteal deficiency and short luteal phase. Menorrhagia or Hyper menorrhea is heavy or prolonged blood flow. Metrorrhagia is bleeding between periods.